The syndrome characterized by hyperkeratosis of hands and
feet together with severe destruction of periodontal tissues in primary and permanent teeth and calcification of dura
1. Papillon-lefevre syndrome
2. Prepubertal periodontitis
3. Juvenile periodontitis
4. Rapidly progressing periodontitis

Correct answer: 1. Papillon-lefevre syndrome